A patient presents with mental confusion, visual and auditory hallucinations, perceived changes of body shape, swelling of the tongue and a fear of impending death after he was treated for primary chancre of syphilis with an intramuscular injection. What is the likely diagnosis?
1. Jarisch-Herxheimer Reaction
2. Hoigne Syndrome
3. Undiagnosed Psychosis
4. Schizophrenia

Correct answer: 2. Hoigne Syndrome

Explanation: -Hoigne's syndrome is a pseudoanaphylactic or pseudoallergic reaction that occurs after the intramuscular administration of Penicillin G procaine or benzathine. These are usually embolic toxic reactions possibly due to vascular occlusion by large crystals of the Penicillin salts. It is not due to Penicillin allergy-Acute psychotic symptoms due to a pseudoanaphylactic or pseudoallergic reaction that occurs after the intramuscular administration of Penicillin G procaine or benzathine.-The patient presents with mental confusion, visual and auditory hallucinations, perceived changes of body shape, swelling of the tongue and a fear of impending death.